Helium-neon (HeNe) Lasers are example for
1. Excimer lasers
2. Gas lasers
3. Diode lasers
4. Solid state lasers

Correct answer: 2. Gas lasers